Local anaesthetic used for nasal surgery:
1. Cocaine paste
2. Xylocaine
3. Both
4. None of the above

Correct answer: 3. Both

Explanation: (c) Both(Ref. Cummings, 6th ed., 482)Most common local anaesthetic used for nasal surgery (septoplasty) is 2% xylocaine (along with adrenaline) for local infiltration and 4% xylocaine for nasal packing (for doing nasal endoscopy).Cocaine is one of the most potent anesthetic agent and vasoconstrictor. These two characteristics make it an ideal medication for use during nasal surgery (here there is no need to give adrenaline) to decrease bleeding and pain. However because of its toxicity Cocaine paste use in nasal surgeries has decreased.